Posterior vibrating line is located at :
1. Soft palate.
2. Junction of Hard and soft palate.
3. Hard Palate.
4. Hamular notch.

Correct answer: 1. Soft palate.